Supracondylar fracture is usually caused by
1. Hyperflexion injury
2. Axial rotation
3. Extension injury
4. Hyperextension injury

Correct answer: 4. Hyperextension injury

Explanation: supracondylar fracture of the humerus is the most serious fracture in childhood. Mechanism: The fracture is caused by a fall on an outstretched hand.As hand strikes the ground the elbow is forced into hyperextension resulting in fracture of humerus above the condyles. Ref: Essential Orthopaedics, Maheswari & Mhaskar, Edition 5, Page no: 97